The preferred treatment of verrucous carcinoma of the larynx is -
1. Pulmonary surgery
2. Electron beam therapy
3. Total laryngectomy
4. Endoscopic removal

Correct answer: 4. Endoscopic removal